C-C beta chemokine includes:
1. IL-8
2. Eotaxin
3. Lymphotactin
4. Fractalkine

Correct answer: 2. Eotaxin

Explanation: . Eotaxin